Recurrent laryngeal nerve supply all the intrinsic muscles of the larynx EXCEPT
1. Thyroepiglottic
2. Posterior cricoarytenoid
3. Cricothyroid
4. Thyroarytenoid

Correct answer: 3. Cricothyroid

Explanation: C. i.e. (Cricothyroid) (260, 275 - Dhingra 4th)MUSCLES OF LARYNXINTRINSIC MUSCLES EXTRINSIC MUSCLES(a) Acting on vocal cords* Abductors - Posterior cricoarytenoids* Adductors - Lateral cricoarytenoid* Interarytenoid (Transverse arytenoids)* Thyro arytenoids (external part)* Tensors - Cricothyroid vocalis (Internal part of thyroarytenoid)(b) Acting on laryngeal inletOpeners of laryngeal inletThyroepiglotticClossers of the laryngeal inletInter arytenoids Aryepiglottic(a) Elevators - stylopharyngeus(Primary)- Salpingopharyngeous- Palatopharyngeus- Thyrohyoid(Secondary)- Mylohyoid- Digastric- Stylohyoid- Geniohyoid(b) Depressors- Sternohyoid- Sternothyroid- Omohyoid* All the muscles of the larynx which move the vocal cord (Abductors, adductors or tensors) are supplied by the recurrent laryngeal nerve EXCEPT the cricothyroid muscle*** Cricothyroid is supplied by external laryngeal nerve - a branch of superior laryngeal nerve*** Topical mitomycin C is useful to aid in the treatment of surgery for laryngotracheal stenosis***